What is not true about gout:
1. Abrupt increase in serum urate levels is more common a cause for acute gout than an abrupt fall in urate levels.
2. Patient may be asymptomatic with high serum uric acid for years
3. Development of arthritis correlates with level of serum uric acid
4. Uric acid crystals are best seen by polarising light microscope

Correct answer: 1. Abrupt increase in serum urate levels is more common a cause for acute gout than an abrupt fall in urate levels.

Explanation: A i.e. Abrupt increase in serum urate levels is more common a cause for acute gout than an abrupt fall in urate levels